Methylene blue test is used to detect
1. Microorganisms
2. Sucrose
3. Fats
4. All of the above

Correct answer: 1. Microorganisms

Explanation: Methylene blue test is used to detect Microorganisms.